'Mid-year population' is not the denominator of which mortality rate?
1. Crude death rate
2. Crude birth rate
3. Weekly death rate
4. Proportional mortality rate

Correct answer: 4. Proportional mortality rate

Explanation: In proportional mortality rate, the denominator is the total number of deaths due to all causes